Privileged communication is made between:
1. Patient and Doctor
2. Doctor and court of Law
3. Doctor and Relative
4. Doctor and concerned authority

Correct answer: 4. Doctor and concerned authority

Explanation: Privileged communication is a statement made bonafide upon any subject matter by a doctor to the concerned authority, due to his duty to protect the interest of the community or the state. It should be made to the person having interest in it or in reference of which he has a duty. Ref: Parikh' Textbook of Medical Jurisprudence Forensic Medicine and Toxicology, 5th Edition, Page 216 and 6th Edition, Page 1.34; The Essentials of Forensic Medicine and Toxicology By Dr K S Narayan Reddy, 27th Edition, Pages 28-9